Normal weight of term placenta in gms -
1. 300
2. 500
3. 700
4. 1000

Correct answer: 2. 500

Explanation: Ans. is 'b' i.e., 500 "The placenta at term is almost circular disk with a diameter ofl5-20cms & thickness of about 3 cms at its centre5. It thins towards the edge. It feels spongy & weighs about 500gmsf the proportion of the weight of the baby being roughly 1:6 at term and occupies the 30% of the uterine wall "